Which of these statements best describes the pectoral girdle and shoulder?
1. The clavicle starts ossifying in the foetus.
2. The clavicle most commonly fractures at the junction of the medial and middle third.
3. The subscapularis bursa is separate from the capsule of the shoulder joint.
4. The capsule of the shoulder joint communicates with the subacromial bursa.

Correct answer: 1. The clavicle starts ossifying in the foetus.

Explanation: Clavicle- First bone to start ossifying- 5-6 week of foetal life. Explanationsb. The clavicle most commonly fractures at the junction of its middle and lateral third. c. Subscapularis bursa communicates directly with the joint capsule the gaps between the glenohumeral ligaments. These ligaments reinforce the anterior portion of the joint capsule. d. Subacromial bursa lies beneath the coracoacromial ligament, and its lower layer is attached to the tendon of the supraspinatus. Only if this tendon is torn does the bursa come into communication with the joint. This bursa is commonly injected, both as a therapeutic and diagnostic manoeuvre, when treating supraspinatus tendonitis.